Postmortem caloricity is not seen in?
1. Strychnine poisoning
2. Typhoid
3. Organophosphorus poisoning
4. Septicemia

Correct answer: 3. Organophosphorus poisoning

Explanation: Ans. is 'c' i.e., Organophosphorus poisoning o Normally, temperature falls after death. But in some situations, for initial 2-3 hours the dead body may gain heat, i.e. postmortem caloricity.o Postmortem caloricity is seen in:-1) Due to disturbed heat regulation: Sun-stroke (heat stroke), pontine hemorrhage.2) Due to heat production by muscular activity: Tetanus, strychnine poisoning, asphyxial death.3) Acute bacterial or viral infections: Pneumonia, septicemia, liver abscess, peritonitis, typhoid, nephritis, meningitis, cholera etc.4) Very high atmosphere temperature.